Common sites for mongolian spot are -
1. Face
2. Neck
3. Lumbosacral area
4. All

Correct answer: 3. Lumbosacral area

Explanation: Ans. is 'c' i.e., Lumbosacral area Mongolian spots are blue or slate - gray macular lesions which occur most commonly in pre-sacral area (mainly in lower back & buttocks) but may be found over the posterior thighs, legs, and shoulders.